Suprasellar calcification with polyuria seen in -
1. Langerhan cell histocytosis
2. Medulloblastoma
3. Pinealoma
4. Craniopharyngioma

Correct answer: 4. Craniopharyngioma

Explanation: A suprasellar calcification is typical of craniopharyngioma Polyuria is d/t diabetes insipidus caused d/t compression by the tumor over pituitary. (Schwartz 7/e p1629 writes "Clinically, patients with suprasellar tumors typically present with diabetes insipidus, visual difficulties, or endocrinopathy.") Ref : Sutton's Radiology 7/e p1628